A thalassemic patient with need of recurrent transfusion. But he develops transfusion reaction like fever and chills. What can be done to the blood to decrease the rate of transfusion reactions?
1. Leucocyte depletion
2. Antibiotics
3. Irradiation
4. Washed RBCs

Correct answer: 1. Leucocyte depletion

Explanation: In Leucocyte depletion- transfusion reaction d/t | WBC and cytokine that- come along with blood transfusion Filter- prevent WBC to enter in body of recipient So chances of transfusion reaction will be minimal. - This method is called leuco-depletion where we reduce the number of WBC going into the patient's body. - Leucodepletion can be done by Irradiation Filters - Option C- Irradiation can be the answer but however it is expensive, therefore can't be used routinely. - Option D- Triple washed RBCs was a method that was used earlier but was not very effective. Extra edge- Sudden onset development of symptoms such as back pain during transfusion indicates acute hemolytic transfusion reaction, First step includes immediate cessation of transfusion, followed by collection samples for testing.